All are the features of an acute attack of primary narrow-angle glaucoma except:
1. Intraocular pressure is raised up to 940-70 mm of Hg
2. Eye is red, painful and tender
3. Disc shows glaucomatous cupping
4. Fellow eye also shows shallow anterior chamber

Correct answer: 3. Disc shows glaucomatous cupping

Explanation: Ans. Disc shows glaucomatous cupping